In central serous retinopathy -
1. Often shows focal leakage on fluorescein fundus photography
2. A macular hole is a common end result
3. The image perceived by the patient on the affected side in unilateral cases is bigger than on the normal side
4. A dense central scotoma is the most common presentation

Correct answer: 1. Often shows focal leakage on fluorescein fundus photography

Explanation: Fundus fluorescein angiography helps in confirming the diagnosis. Two patterns are seen: Ink-blot pattern. It consists of small hyperfluorescent spot which gradually increases in size Smoke-stack pattern. It consists of a small hyperfluorescent spot which ascends vertically like a smoke-stack and gradually spreads laterally to take a mushroom or umbrella configuration Ref: AK Khurana 6thE pg293